Which is not used in the management of IPF?
1. Thalidomide
2. Pantoprazole
3. Lung transplantation
4. Acebrophylline

Correct answer: 4. Acebrophylline

Explanation: Thalidomide reduces cough in patients with IPF. Chronic micro-aspiration may play a role in the pathogenesis of IPF. Hence therapy of GER is beneficial(Pantoprazole). Lung transplantation referral should be done earlier due to unpredictable nature of the progression of the disease. Bronchodilators have no role in progression or management of IPF.